Number of ossification centres in femur is:
1. 2
2. 4
3. 5
4. 7

Correct answer: 3. 5

Explanation: The femur ossifies from five centres: in the shaft, head, greater and lesser trochanters and the distal end. Other than the clavicle, it is the first long bone to ossify.